Which of the following article is not concerned with child right?
1. 24
2. 39
3. 42
4. 45

Correct answer: 3. 42

Explanation: Ref. Textbook of forensic medicine. Krishnan Vij. Page.123
 
Article 24 -  Prohibition of employment of children in factories, etc No child below the age of fourteen years shall be employed to work in any factory or mine or engaged in any other hazardous employmen
Article 39 (one of the rules)
that children are given opportunities and facilities to develop in a healthy manner and in conditions of freedom and dignity and that childhood and youth are protected against exploitation and against moral and material abandonment
Article 45 - Provision for free and compulsory education for children The State shall endeavour to provide, within a period of ten years from the commencement of this Constitution, for free and compulsory education for all children until they complete the age of fourteen years
Article 42 - Provision for just and humane conditions of work and maternity relief The State shall make provision for securing just and humane conditions of work and for maternity relief